Termination of Descemet's membrane is:
1. Trabecular mesh work
2. Schlemm canal
3. Scieral spur
4. Ring of Schwalbe

Correct answer: 4. Ring of Schwalbe

Explanation: Descemet's membrane is a strong homonymous structure less layer of cornea. It ends abruptly at the limbus as the ring of Schwalbe. Unlike Bowman's membrane it can regenerate and is very resistant to the inflammatory process of cornea